Action of anconeus ?
1. Mild pronation
2. Flexion
3. Supination
4. Extention

Correct answer: 4. Extention

Explanation: Ans. is 'd' i.e., Extention